Ideal management in an old and frail patient presenting with a mass situated 15 cm away from anal orifice:
1. Abdomino-perineal resection
2. Colonoscopic removal
3. Hartman's operation
4. Anterior resection

Correct answer: 3. Hartman's operation

Explanation: Ans. C: Hartman's operation Hartman's operation is an excellent procedure in an old and frail patient who would not stand a lengthy anterior resection, or in whom there is concern about the anal sphincter function or the viability of an anastomosis.